Indication for surgery in a case of adrenal incidentaloma is
1. >2cm
2. >3cm
3. >4cm
4. >5cm

Correct answer: 3. >4cm

Explanation: Any non-functioning adrenal tumour greater than 4 cm in diameter and smaller tumours that increase in size over time should undergo surgical resection. Non-functioning tumours smaller than 4 cm should be followed-up after 6, 12 and 24 months by imaging (MRI) and hormonal evaluationRef: Bailey and Love 27e pg: 840